Which of the following is a cause of reversible dementia?
1. Subacute combined degeneration.
2. Picks disease
3. Creutzfeldt - Jakob disease.
4. Alzheimer's disease

Correct answer: 1. Subacute combined degeneration.

Explanation: Answer is A (Subacute combined degeneration) `Subacute combined degeneration' is caused by vitamin B12 deficiency. Vitamin deficiencies including vitamin B,2 deficiency constitute potentially reversible causes of dementia.